True regarding cystic hygroma is -
1. Non transilluminant
2. Lined by columnar epithelium epithelium
3. Develops from jugular lymphatic sequestration
4. All

Correct answer: 3. Develops from jugular lymphatic sequestration

Explanation: Cystic hygroma Cystic hygroma is a swelling usually occuring in the lower third of the neck It is most commonly seen in posterior triangle of the neck, but may also occur in axilla, groin & mediastinum It results due to sequestration of a portion of the jugular lymph sac from the lymphatic system. It usually manifests in the neonate or in early infancy (occasionally present at birth) The swelling is soft and partially compressible and invariably increases in size when the child coughs or cries. The characteristic that distinguishes it from all other neck swellings is that it is brilliantly translucent. The cysts are filled with clear lymph and are lined by endothelium. Ref : Bailey and love surgery text book 27th Ed.